Which of the following is not an oncological emergency -
1. Spinal cord compression
2. Superior venacaval syndrome
3. Tumor lysis syndrome
4. Carcinoma cervix stage- III B with Pyometra

Correct answer: 4. Carcinoma cervix stage- III B with Pyometra

Explanation: Ans is 'd' i.e. carcinoma cervix stage III 'B' with pyometra Structural obstructive oncological emergency Metabolic emergency Treatment related oncological emergency (1) Superior venacaval syndrome (1) Hypercalcetnia (1) Tumor lysis syndrome (2) Pericardial effusion/tamponade (2) SIADH (2) Human antibody infusion reactions (3) Intestinal obstruction (3) Lactic acidosis (3) Hemolytic urernic syndrome (4) Urinary obstruction (4) Hypoglycemia (4) Pulmonary infiltrates (5) Malignant biliary infections (5) Adrenal (5) Neutropenia & infections (6) Spinal cord compression insufficiency (6) Typhlitis (neutropenic enterocolitis) (7) Increased intracranial pressure (7) Hemorrhagic cystitis (8) Neoplastic meningitis